NOT a content of middle mediastinum:
1. Ascending aorta
2. Oesophagus
3. Pulmonary trunk
4. Phrenic nerve

Correct answer: 2. Oesophagus

Explanation: The esophagus is considered to be located in the superior and posterior mediastinum.